Tinel's sign is -
1. Sensation on tapping the nerve
2. Numbness in the region of the nerve on inflating the pneumatic cuff
3. Tingling on flexion of the joint
4. Applying direct pressure

Correct answer: 1. Sensation on tapping the nerve

Explanation: Ans. is 'a' i.e., Sensation on tapping the nerve Tinels sign:* Brisk percussion along the course of an injured nerve from distal to proximal direction may elicit a tingling sensation in the distal distribution of the nerve.* This is described as Tinels sign.* The point of hypersensitivity marks the site of abnormal nerve sprouting: if it progresses distally at successive visits this signifies regeneration; if it remains unchanged this suggests a local neuroma.